For polymerase chain reaction which of the following is not required
1. TAQ polymerase
2. d-NTP
3. Dideoxynucleotides
4. Magnesium

Correct answer: 3. Dideoxynucleotides